Hallucinations, true is ?
1. Perceived in the inner subjective space
2. There is misinterpretation of external stimulus
3. There is no external stimulus
4. Can be controlled by voluntary effort

Correct answer: 3. There is no external stimulus

Explanation: Ans. is 'c' i.e., There is no external stimulus Characteristics of Hallucinations :? Absence of corresponding external perceptual stimuli. Vividness, force and reality value of a normal perception. The experience occurs spontaneously It cannot be produced or terminated at will by subject (not in conscious or voluntary control). Perceived as being in external objective space. Have relative permancy (i.e. remain constant and unchanged). Hallucinations are usually experienced alongside and simultaneously with normal perception.